Initial treatment recommended for newly diagnosed patient with CML is-
1. Allogenic bone marrow transplantation
2. Imatinib mesylate therapy
3. TNF-a
4. IFN-a

Correct answer: 2. Imatinib mesylate therapy

Explanation: Ans. is 'b' i.e., Imatinib mesylate therapy o The only curative treatment for CML is Allogenic stem cell Transplntation.o The treatment of choice in CML is Allogenic BMT.o The drug treatment of choice in CML is Imatinib.o Initial treatment recommended for newly diagnosed patient with CML is Imatinib.